Acanthosis nigricans is caused by which drug -
1. Amphotericin-B
2. Ketoconazole
3. Nicotinic acid
4. Nalidixil acid

Correct answer: 3. Nicotinic acid